A female is presented with a breast lump of size 20 cm with no lymphadenopathy no metastasis. Her TNM staging would be
1. T2 N0 M0
2. T3 N0 M0
3. T4a N0 M0
4. T4b N0 M0

Correct answer: 2. T3 N0 M0

Explanation: T0 - No evidence of primary T1 - Tumor less than 2cm T2 - Tumor of size 2-5cm T3 - Tumor greater than 5cm in greater dimention. T4 - Any tumor with direct extension to chest wall or skin or both. T4a is tumor extending to chest wall while T4b is tumor infiltrating the skin and T4c is tumor showing both chest wall and skin extensions. T4d is inflammatory carcinoma. N0 means no regional lymph nodes. M0 means no metastasis So here the staging is T3N0M0. Reference : SRB's Manual of Surgery, 6th Edition, page no = 532.